Which of the following is derived from ectoderm
1. Spleen
2. Gall bladder
3. CNS
4. Lung epithelium

Correct answer: 3. CNS

Explanation: Neural crest cells forms peripheral nervous system ENDODERM - gives epithelial lining of respiratory & gastro intestinal tracts, biliary system, bladder & urethra. MESODERM (mesenchyme) : i). Paraxial mesenchyme(somite's & somitomeres) : Forms * sclerotome - vertebrae & portions of neurocranium & axial skeleton. * myotome -all voluntary muscles of head, trunk & limbs. * dermatome - dermis of skin over dorsal regions. ii) Intermediate mesenchyme : -forms connective tissue of gonads, mesonephric & metanephric nephrons, smooth muscles & connective tissues of reproductive tracts. iii) Septum transversum : forms epicardium, fibrous pericardium, portion of diaphragm, esophageal mesentery, sinusoids of liver, tissue within lesser omentum & falciform ligament. iv) Lateral plate mesenchyme : * Splanchnopleuric layer : smooth muscles & connective tissue of respiratory tracts, intestinal tract, blood vessels & associated glands & abdominal mesenteries (spleen). * Somatopleuric layer : appendicular skeleton, connective tissues of limbs & trunk including cartilage, ligaments & tendons. dermis of ventral body wall & limbs; mesenchyme of external genitalia Angiogenic mesenchyme = Endocardium of heart, endothelium of blood & lymphatic vessel vessels of choroid plexus, sinusoids of liver & spleen, circulating blood cells, microglia & tissue macrophages.